Mucopolysaccharide that does not contain Uronic acid residue is:
1. Heparan Sulphate
2. Heparin
3. Chondroitin Sulphate
4. Keratan Sulphate

Correct answer: 4. Keratan Sulphate

Explanation: Ans. D. Keratan SulphateGAG with no Uronic Acid: Keratan SulphateGAG with no Sulfate group: Hyaluronic AcidGAG not covalently linked to Protein: Hyaluronic Acid